Which is true about synovial joint ?
1. Stability is inversely proportional to mobility
2. Hyaline cartilage covers articular surface of all synovial joints.
3. Metacarpo-phalangeal joint is a hinge joint
4. "Cartilage usually divides the joint into two cavities".

Correct answer: 1. Stability is inversely proportional to mobility

Explanation: A i.e. Stability is inversely proportional to mobility